Which of the following is the longest foetal diameter?
1. Suboccipitobregmatic
2. Occipitofrontal
3. Mentovertical
4. Submento bregmatic

Correct answer: 3. Mentovertical

Explanation: Mentovertical (point of the chin to 1 inch in front of posterior fontanelle in the sagital suture) is the longest fetal diameter (13.8 cm). Some of the important figures are given below: Suboccipitobregmatic - 9.4cm Occipitofrontal - 11.3cm Mentovertical - 13.8cm Submento bregmatic - 9.4cm Ref: Comp Text book of Obstetrics and Gynecology, Sadhana Gupta, 2011, Page 118